a-Granules of platelet contains all of the following, EXCEPT:
1. Fibrinogen
2. Fibronectin
3. factors V
4. ATP

Correct answer: 4. ATP

Explanation: Platelets play a critical role in normal hemostasis. Their function depends on several glycoprotein receptors, a contractile cytoskeleton, and two types of cytoplasmic granules. a-Granules have the adhesion molecule P-selectin on their membranes and contain fibrinogen, fibronectin, factors V and VIII, platelet factor 4 (a heparin-binding chemokine), platelet-derived growth factor (PDGF), and transforming growth factor-b (TGF-b). Dense (or d) granules contain ADP and ATP, ionized calcium, histamine, serotonin, and epinephrine. Ref: Robbins 8th edition Chapter 4.